Open book and bucket handle injuries are seen in :
1. Spine
2. Pelvis
3. Femur
4. Knee

Correct answer: 2. Pelvis

Explanation: (A) Bucket handle fracture: A type of pelvis fracture due to side-to-side compression of pelvis where there is fracture of pubic rami anteriorly and sacroiliac joint or ilium posteriorly but on the opposite side. (B)Open book fracture: A pelvic fracture due to anteroposterior compression of pelvis where the pubic symphysis is disrupted and pelvis opens up like a book.